If calcium levels are normal, which type of calcification is seen:
1. Metastatic
2. Dystrophic
3. Dysplastic
4. Metaplastic

Correct answer: 2. Dystrophic

Explanation: Ans. B: Dystrophic